Indomethacin reduce the diuretic action of furosemide by
1. Preventing prostaglandin mediated heamodynamic actions
2. Blockade of furosemide action in loop of henle
3. Enhancing water reabsorption in distal tubule
4. Increasing aldosterone secretion

Correct answer: 1. Preventing prostaglandin mediated heamodynamic actions

Explanation: NSAIDS inhibit specifically PGE2, PGI2 synthesis in renal tubules effecting the hemodynamic changes done by Prostaglandins for water, sodium reabsorption Ref: katzung 12th ed, Autocoids.